Which of the following is true about venous thrombosis?
1. It affects only the deep venous system
2. Most important factor for development of deep venous thrombosis is hospital admission
3. Coralline thrombus is platelet aggregate surrounded by white blood cells
4. Lung infarction is a common complication of deep venous thrombosis

Correct answer: 2. Most important factor for development of deep venous thrombosis is hospital admission

Explanation: Answer- B. Most important factor for development of deep venous thrombosis is hospital admissionVenous thrombosis is the formation of a semi-solid coagulum within the venous system and may occur in the superficial system.Patients are at risk of dweloping a post-thrombotic limb and venous ulceration Virchow triad-Changes in the wssel wall (endothelial damage)Stasis, which is diminished blood flow through the veinsCoagulability of blood (thrombophilia)The most important factor is a hospital admission for the treatment of a medical or surgcal condition.The coralline thrombus then progresses as a propagated loose red fibrin clot, containing many red cells.